Hepatic encephalopathy is precipitated by all the following conditions except
1. Paracentesis
2. Benzodiazepines
3. Constipation
4. Hyperkalemia

Correct answer: 4. Hyperkalemia

Explanation: Hypovolemia, hypokalemia, alkalosis precipitate hepatic encephalopathy.